Deaths from lactic acidosis in diabetes mellitus is associated with therapy with which one of the following:
1. Metformin
2. Tolbutamide
3. Phenformin
4. Glipizide

Correct answer: 3. Phenformin